All of the following drugs reduce afterload except
1. Enalapril
2. Propanonol
3. Hydralazine
4. Sodium nitroprusside

Correct answer: 2. Propanonol

Explanation: Ref-KDT 6/e p504 Afterload is reduce after the drug having Arteriolar delating property.propananol is a non selective Beta blocker.it can cause vasoconstriction by antanagolizing beta2 mediated vasodilation.it,do not decreases afterload